Hallucination which occur at start of sleep are known as ?
1. Hypnogogic hallucination
2. Hypnopompic hallucination
3. Jactatio capitis nocturna
4. Reflex hallucinations

Correct answer: 1. Hypnogogic hallucination

Explanation: Hypnogogic hallucination - occur while going to sleep. Hypnopompic hallucinations - occur while getting up from sleep Jactatio capitis nocturna or rhythmic movement disorder is a neurological disorder characterized by involuntary movements, usually of head and neck, before and during sleep. In reflex hallucinations, stimulus in one modality results in development of hallucination in another modality